Spinal segment in knee jerk include all of the following except :
1. L1
2. L2
3. L3
4. L4

Correct answer: 1. L1

Explanation: Answer is A (L1): Knee jerk is associated with spinal segments L3, L4 and according to some L2 also.